Parvovirus BI 9 does not cause -
1. Roseola infantum
2. Aplastic anemia in sickle cell disease
3. Fetal hydrops
4. All

Correct answer: 1. Roseola infantum

Explanation: Ans. is `a' i.e., Roseola infantum